E cadherin gene deficiency is seen in:
1. Gastric cancer
2. Intestinal cancer
3. Thyroid cancer
4. Pancreatic cancer

Correct answer: 1. Gastric cancer

Explanation: Cadherin is derived from the “calcium-dependent adherence protein.” It participates in interactions between cells of the same type. The linkage of cadherins with the cytoskeleton occurs through the catenins. 
The cell-to-cell interactions mediated by cadherin and catenins play a major role in regulating cell motility, proliferation, and diﬀerentiation and account for the inhibition of cell proliferation that occurs when cultured normal cells contact each other (“contact inhibition”).
Reduced function of E-cadherin is associated with certain types of breast and gastric cancer. Mutation and altered expression of the Wnt/β-catenin pathway are implicated in gastrointestinal and liver cancer development.